Medusa head appearance on MRI is seen in
1. AV malformation
2. Venous angioma
3. Cavernous hemangioma
4. Vein of galen malformation

Correct answer: 2. Venous angioma

Explanation: Veins are small at periphery and gradually enlarge as they approach a central draining vein - caput medusa or medua head.
serpentine apperance of the curvilinear peripheral draining veins seen in venous malformation (venous angioma).